Apoptotic bodies are
1. Clumped chromatin bodies
2. Pyknotic nucleus without organelles
3. Cell membrane bound with organelles
4. No nucleus with organelles

Correct answer: 3. Cell membrane bound with organelles

Explanation: In H&E-stained tissue sections, the nuclei of apoptotic cells show various stages of chromatin condensation and aggregation and, ultimately, karyorrhexis; at the molecular level, this is reflected in fragmentation of DNA into nucleosome-sized pieces. The cells rapidly shrink, form cytoplasmic buds, and fragment into apoptotic bodies composed of membrane-bound vesicles of cytosol and organelles.( Robbins Basic Pathology, 9th edition, page 18 )